Oesophagus crosses the diaphragm at the level of ?
1. T8
2. T10
3. T12
4. T2

Correct answer: 2. T10

Explanation: The distal end of the esophagus enters the abdominal cavity in the upper left quadrant by traversing the diaphragm at the T10 vertebral level. The esophagus immediately transitions into the stomach, with the cardiac sphincter serving as the transition boundary. Coursing parallel to the esophagus are the anterior and posterior vagal trunks.